The appearance of markedly vacuolated, nucleated red cells in the marrow, anemia and reticulocytopenia are characteristic dose-dependent side effects of:
1. Azithromycin
2. Chloramphenicol
3. Clindamycin
4. Doxycycline

Correct answer: 2. Chloramphenicol

Explanation: Ans. (B) Chlormaphenicol(Ref: KDT 8th/e p791)The features given are of bone marrow suppression which a very significant adverse effect of chlormaphenicol.